Blood agar is an example of?
1. Enriched media
2. Enrichment media
3. Nutrient media
4. Special media

Correct answer: 1. Enriched media

Explanation: ANSWER: (A) Enriched mediaREF: Essentials of diagnostic microbiology by Lisa Anne Shimeld, Anne T. Rodgers page 93, Laboratory Diagnosis of Infectious Diseases: Essentials of Diagnostic Microbiology by Paul G. Engelkirk, Janet Duben-Engelkirk page 190See APPENDIX-82 below for "CATEGORIES OF ARTIFICIAL MEDIA"Enriched media has one or more added substances to increase the likelihood of growth of fastidious organisms. The added substances include blood or serum products or vitamins. Some commonly used enriched media include blood agar, chocolate agar, Loffler's serum slope, and LJ medium APPENDIX-82CATEGORIES OF ARTIFICIAL MEDIA:MediaDescriptionExampleEnrichedmediaOne or more added substance (blood, serum, vitamins) to increase the likelihood of growth of fastidious organismsBlood agar,Chocolate agar,Lofflers serum slope,U mediumDifferentialmediaUsed to distinguish types of bacteria by addition of substances that wall be changed as a result of metabolic activity of the bacteriaEosin methylene blue, MacConkey's media,Mannitol salt sugarEnrichmentmediaLiquid media that simulates growrth of certain bacteria or suppresses the growth of other for isolation of desired pathological bacteriaSelenite-F broth,Tetrathionate brothSelectivemediaSolid media that inhibits the growth of all but few bacteria and at the same time facilitates isolation of certain bacteriaTCBS (Thiosulfate citrate bile salt sucrose agar selective for V cholerae),DC A (Deoxycholate citrate agar selective for salmonella & shigella), LJ medium selective for M. tuberculosis,MSA (mannitol salt agar selective for Gram +ve),XLD (Xylose lysine deoxycholate selective for Gram -ve ),Buffered charcoal yeast extract agar (selective for legionella)TransportmediaUsed to maintain the viability of certain organisms in clinical specimens during their transport to the laboratory. They typically contains only buffer and salt.Stuart medium for gonococciIndicatormediaContains indicator that changes colour when bacterium grows in itWilson Blair medium for salmonella typhiNote:A medium can be placed in one or many of the above mentioned categories as per its use.Some commonly used media with multiple uses are:MediaEnrichedSelectiveDifferentialBlood agarYes, the primary purpose of BA is to isolate bacterial pathogens from clinical specimens.NoYes, used to differentiate a, b & g hemolytic organismsChocolate agarYes, primary purpose of CA is to isolate especially fastidious bacterial pathogens, like neisseria & hemophilius that do not grows on BANoNoMacConkey agarNoYes, selective for Gram -ve bacteriaYes, to differentiate between lactose fermenters and non fermentersPhenylethyl alcohol agar (PEA)Yes, PEA is BA to which phenylethyl alcohol is addedYes, PEA is selective for Gram +ve bacteriaNoThayer Martin agarYes, TM is chocolate agar to which additional nutrients have been addedYes, TM is selective for Nesseria gonorrhoae & meningitisNoMannitol salt agar (MSA)NoYes, MSA is selective for organisms that can tolerate high salt concentrationYes, used to differentiate between mannitol fermenters & non fermenters